Otosclerosis shows which type of tympanogram?
1. Type A
2. Type B
3. Type C
4. Type D

Correct answer: 1. Type A

Explanation: Type A tympanograms have normal peak height and pressure. Two variations of the Type A tympanogram also are normal in pressure, but may be shallow (AS), reflecting otosclerosis or middle ear effusion, or peaked very high (AD), reflecting ossicular discontinuity or a monomeric eardrum